In metabolic encephalopathy, feature is-
1. Tonic clonic seizures
2. Chorea
3. Asterixis
4. Paraplegia

Correct answer: 3. Asterixis